Congenital absence of Laminin leads to:
1. Epidermal bullosa Dystrophica
2. Epidermal Bullosa acquisita
3. Epidermal Bullosa Junctionalis
4. Hailey Hailey disease

Correct answer: 3. Epidermal Bullosa Junctionalis